Hinge movement is produce by the action of:
1. Lateral pterygoid.
2. Supra hyoid muscles.
3. Both.
4. Temporalis.

Correct answer: 3. Both.

Explanation: Hinge movement is a purely rotational movement of the joint which takes place around a horizontal axis till the patient opens his mouth to about 20-25 mm. This movement is produced by the action of the lateral pterygoid and suprahyoid muscles and is aided by gravity. The condyle begins to glide (translate) beyond 13° rotation.